Correlation in height and weight are measured by
1. Coefficient of variation
2. Range of variation
3. Correlation coefficient
4. None

Correct answer: 3. Correlation coefficient

Explanation: Ref:Park's Textbook of Preventive and Social Medicine 25th Ed